The ideal temperature to preserve the body for postmortem examination is -
1. 0°C
2. 4°C
3. 10°C
4. -10°C

Correct answer: 2. 4°C

Explanation: Body can be embalmed after autopsy (not before), to facilitate a second autopsy in case one is desired at some future point.
The body should be stored at 4°C generally or at -20°C if it is to be preserved for long duration.
The body should never be undressed before the forensic doctor has seen it as examination of clothing and body should be done before removing the clothes.